Features of Homer's syndrome include all of the following except :
1. Miosis
2. Ptosis
3. Anhydrosis
4. Exopthalmos

Correct answer: 4. Exopthalmos

Explanation: D i.e. Exopthalmos